In a chronic smoker a highly malignant aggressive and metastatic lung carcinoma is
1. Small cell carcinoma
2. Squamous cell carcinoma
3. Large cell carcinoma
4. Adenocarcinoma

Correct answer: 1. Small cell carcinoma

Explanation: Cigarette smoking is most strongly associated with squamous cell carcinoma and small cell carcinoma. Small cell carcinoma variant is more malignant and metasizes Ref Harrison 19th edition pg 1702